Non-parenteral hepatitis is -
1. Hepatitis E
2. Hepatitis B
3. Hepatitis C
4. Hepatitis D

Correct answer: 1. Hepatitis E

Explanation: Hepatitis E transmitted enterically through fecal population of drinking water REF:ANANTHANARAYANAN TEXT BOOK OF MICROBIOLOGY 9EDITION PGNO.550